Malaria protection comes from all except ?
1. G6PD deficiency
2. Thalassemia
3. Sickle cell anemia
4. Acanthocytosis

Correct answer: 4. Acanthocytosis

Explanation: Ans. is 'd' i.e., Acanthocytosis Types of anemia that have protective effect against P. falciparum malaria : ? G6PD deficiency, Sickle cell anemia, Thalassemia, HbC, Pyruvate kinase deficiency